A ring chromosome is a special form of
1. Inversion
2. Isochromosome
3. Deletion
4. Translocation

Correct answer: 3. Deletion

Explanation: A ring chromosome is a special form of deletion. It is produced when a break occurs at both ends of a chromosome with the fusion of the damaged ends. If significant genetic material is lost, phenotypic abnormalities result. This might be expressed as 46, XY,r(14). Ring chromosomes do not behave normally in meiosis or mitosis and usually result in serious consequences.Ref: Robbins and Cotran Pathologic Basis of Disease; 9th edition; Chapter 5; Genetic Disorders; Page no: 160